Half of the clot retraction is completed by?
1. 24 hrs
2. Within 2 hrs
3. Within 15 minutes
4. Within 1 hour

Correct answer: 4. Within 1 hour